In leprosy nerves commonly involved –
1. High ulnar, low median
2. High median, low ulnar
3. Triple nerve palsy
4. High radial, low median

Correct answer: 1. High ulnar, low median

Explanation: Involvement is high ulnar (at or above the elbow) and low median (at the wrist).